Gas responsible for Bhopal Gas tragedy was:
1. Methyl isocyanate
2. Potassium isocyanate
3. Sodium isocyanate
4. Ethyl isocyanate

Correct answer: 1. Methyl isocyanate

Explanation: Methyl isocyanate